Drug used for common cold that can cause stroke is?
1. Phenylpropanolamine
2. Oxymetazoline
3. Phenylephrine
4. None

Correct answer: 1. Phenylpropanolamine

Explanation: ANSWER: (A) PhenylpropanolamineREF: Harrison's 18th ed Chapter 370. Cerebrovascular DiseasesPhenylpropanolamine is a psychoactive drug of the phenethylamine and amphetamine chemical classes which is used as a stimulant, decongestant, and anorectic agentIt is commonly used in prescription and over-the-counter cough and cold preparations.Its used is associated hemorrhagic stroke